Not a cause of consecutive optic atrophy:
1. Retinitis pigmentosa(RP)
2. CRAO
3. Pathological Myopia
4. Retrobulbar neuritis

Correct answer: 4. Retrobulbar neuritis

Explanation: Retrobulbar neuritis is considered as Primary optic atrophy.